Onset of stereopsis occurs at the age of:
1. 3 to 5 months
2. 1 to 2 years
3. 5 years
4. 7 years

Correct answer: 1. 3 to 5 months

Explanation: Ans. 3 to 5 months